The 2nd common most supernumerary teeth is
1. Mesiodens
2. Distal to 3rd molar in maxilla
3. Distal to mandibular 3rd molar
4. Para molars

Correct answer: 2. Distal to 3rd molar in maxilla